The bullet which leave a color in its path is called
1. Piggy tail bullet
2. Tracer bullet
3. Incendiary bullet
4. Tandem bullet

Correct answer: 2. Tracer bullet

Explanation: Tracer bullets are bullets which leave a color in their path. These bullets contain barium nitrate, magnesium, strontium nitrate, etc Ref: FORENSIC MEDICINE AND TOXICOLOGY Dr PC IGNATIUS THIRD EDITION PAGE 141